Which of the following constitute grievous injury-
1. Incised wound of scalp
2. Incised wound of thigh
3. Fracture Tibia
4. Laceration of the scalp

Correct answer: 3. Fracture Tibia